Glutamine replaced by valine in sickle cell anaemia is characterized by
1. Non sense mutation of beta chain
2. Missense mutation of beta chain
3. Degradation of beta chain
4. Deletion of beta chain

Correct answer: 2. Missense mutation of beta chain